Controlled tipping is method of disposal of –
1. Sullage
2. Sewage
3. Human excreta
4. Refuse

Correct answer: 4. Refuse